Mania is characterized by all except -
1. Hypersomnia
2. Pressure of speech
3. High self esteem
4. Delusion of grandeur

Correct answer: 1. Hypersomnia

Explanation: Ans. is 'a' i.e., Hypersomnia o Insomnia and not hypersomnia is a feature in mania.Diagnostic criteria for maniao Three or more of the following for at least 1 weeki) Inflated self esteem or grandiosityv) Distractibilityii) Decreased need for sleepvi) Psychom otor agitation or Increased goal directed activitiesiii) Overtalkativenessvii) Excessive involvement in pleasurable activitiesiv) Flight of ideas Important symptoms of mamaElevated mood Euphoria, elation, exatlation, ectasv, high self esteem.Thought & speech Pressure of speech (Talkativeness), flight of ideas, delusion of grandeur, delusion of persecution, distractibility.Increased psychomotor activity'Overactiveness, restlessness, increased energy.Goal directed activity Patient is alert, trying to do many things at one time.Psychotic features Delusions and hallucination.Other Increased sexual drive, aggressive behavior, decreased need for sleep (insomnia), spending excessive money, increased appetite, impaired judgement, social & occupational dysfunction, absent insight.